A patient, Hari has been diagnosed to have schizophrenia. Which of the following acts as a limiting factor in the use of clozapine as an antipsychotic drug in this patient?
1. Its potential to cause agranulocytosis
2. Its inability to benefit negative symptoms of schizophrenia
3. High incidence of extrapyramidal side effects
4. Production of hyperprolactinemia

Correct answer: 1. Its potential to cause agranulocytosis

Explanation: -Major adverse effects of clozapine are agranulocytosis and seizures. -High risk of causing lipodystrophy syndrome. -Does not prominently block dopamine receptors --> Negligible risk of extrapyramidal symptoms or hyperprolactinemia Effective against both positive and negative symptoms of schizophrenia.